Swimming pool granuloma is caused by-
1. M. Bovius
2. M. Ulcerans
3. M. Kansasii
4. M. Balanei

Correct answer: 4. M. Balanei

Explanation: Ans. is 'd' i.e., M.Balanei M. marinum also called as M.balanei causes swiming pool granuloma